Which is the most common site for duodenal ulcer
1. Within 2 centimetres of pylorus
2. Second part of duodenum
3. Distal duodenum
4. Early part of jejunum.

Correct answer: 1. Within 2 centimetres of pylorus

Explanation: About 95 percentage of duodenal ulcers occur within 2 centimetres of the pylorus